Death sentence can be awarded by:
1. First class magistrate
2. Second class magistrate
3. Chief Judicial magistrate
4. Sessions court

Correct answer: 4. Sessions court

Explanation: Sessions court